A 40 year old patient is suffering from carotid body tumor. Which of the following is the best choice of treatment for him?
1. Excision of tumor
2. Radiotherapy
3. Chemotherapy
4. Carotid artery ligation both proximal and distal to the tumor

Correct answer: 1. Excision of tumor

Explanation: Ans. is 'a' i.e., Excision of tumour